MYC gene is -
1. Protein kinase inhibitor
2. Growth factor inhibitor
3. GTPase
4. Transcription activator

Correct answer: 4. Transcription activator

Explanation: The MYC protooncogene belongs to the immediate early response genes, which are rapidly induced when quiescent cells receive a signal to divide.
MYC protein is rapidly translocated to the nucleus, sometimes as a dimer with another protein, called MAX. This heterodimer binds to DNA sequences in target genes and is a potent transcriptional activator.
The range of activities attributed to MYC includes histone acetylation, reduced cell adhesion and increased cell motility, increased protein synthesis, and decreased proteinase activity.
The MYC protooncogene contains separate sequences that encode the growth promoting and apoptotic activities.
In contrast to the regulated expression of MYC during normal cell proliferation, persistent expression, and in some cases overexpression, of the MYC protein is commonly found in tumors.
This may lead to sustained transcription of critical target genes and subsequent neoplastic transformation.
Dysregulation of MYC expression resulting from translocation of the gene occurs in Burkitt lymphoma.
MYC is amplified in some cases of breast, colon, lung, and many other carcinomas. The related N-MYC and L-MYC genes are amplified in neuroblastomas and small cell cancers of the lung, respectively.